In tubo-tympanic CSOM commonest operation done is:
1. Modified radical mastoidectomy
2. Radical mastoidectomy
3. Simple mastoidectomy
4. Tympanoplasty

Correct answer: 4. Tympanoplasty

Explanation: (d) Tympanoplasty(Ref. Scott Brown, 8th ed., Vol 2; 997)Management of tubo-tympanic CSOM is tympanoplastyRadical and modified radical mastoidectomy are done for unsafe CSOM.Simple mastoidectomy or Schwartze operation is done for acute and coalescent mastoiditis.